After overnight fasting, levels of Glucose transporters are reduced in
1. Brain cells
2. Hepatocytes
3. Adipocytes
4. RBCs

Correct answer: 3. Adipocytes

Explanation: C i.e. AdipocytesInsulin sensitive (dependent) glucose transporter, GLUT- 4 that are found in adipose tissueQ and skeletal muscles are reduced in fasting state, when the insulin levels are low.